Glanzmann thrombasthenia is-
1. Autosomal dominant disorder
2. Autosomal recessive disorder
3. None
4. Both

Correct answer: 2. Autosomal recessive disorder

Explanation: Glanzmann thrombasthenia is an autosomal recessive disorder.